As regards to intraocular retinoblastoma, which one of the following statements is false:
1. 94% of cases are sporadic
2. Patients with sporadic retinoblastoma do not pass their genes to their offsprings
3. Calcification in the tumor can be detected on ultrasound scan
4. Reese-Ellsworth classifiction is useful in predicting visual prognosis following radiotherapy

Correct answer: 2. Patients with sporadic retinoblastoma do not pass their genes to their offsprings

Explanation: B i.e. Patients with sporadic retinoblastoma do not pass their genes to their offsprings